38 year old hypothyroid female patient presents for uterine fibroid excision. She is 5’5” and weighs 60 kg. She ate at 8 PM the previous night and took thyroxine tablet with sip of water in the morning. If the case is supposed to start at 8 AM, what is fluid deficit
1. 1.5L
2. 1.2L
3. 1.4L
4. 1.6L

Correct answer: 2. 1.2L

Explanation: Remember 4:2:1 rule = for maintenance fluid, the first 10 kg should receive 4ml/hr, the second 10 kg of the patient should receive 2ml/hr and rest after that should receive 1ml/hr
40+20+40=100
Since patient was nil per orally for 12 hours = 12 * 100 = 1200ml is the fluid deficit.